Zero dose of polio vaccine in which is give
1. Before giving DPT
2. At birth
3. When child is having diarrhoea
4. When child is having polio

Correct answer: 2. At birth

Explanation: the WHO programme on immunisation and the national immunisation programme in india recommend a primary course of 3 doses of OPV at one month intervals,commencing the first dose when infant is 6 weeks old.it is recommended that a dose of OPV (zero dose)is required to be given to all children delivered in health institutions before their discharge from hospital. ref:parks textbook ,22nd edition,pg no 187